During fetal life development of testis takes place in relation with:
1. Intraperitoneal near ventral wall
2. Anterior abdominal wall
3. Retroperitoneal near dorsal wall
4. All

Correct answer: 3. Retroperitoneal near dorsal wall

Explanation: C i.e. Retroperitoneal Near dorsal wall